Most common brain tumour is
1. Astrocytoma
2. Meningioma
3. Metastasis
4. Oligodendroma

Correct answer: 3. Metastasis

Explanation: Answer- C. MetastasisMC brain tumors - MetastasesMC primary brain tumor - GliomaMC Glioma - AstrocytomasMC Astrocytomas - Glioblastoma multiforme